Which of the following cephalometric point can be altered by orthodontic tooth movement?
1. Point-A
2. ANS
3. Nasion
4. Gonion

Correct answer: 1. Point-A

Explanation: Subspinale ("A" Point)
The most posterior point on the curve between ANS and PR (SPr).
"A" point is usually found 2 mm anterior to the apices of the maxillary central incisor root.